Which of the following is NOT a frontline antihypertensive agent?
1. Enalapril
2. Hydrochlorthiazide
3. Amlodipine
4. Atenolol

Correct answer: 4. Atenolol

Explanation: Ans. (D) Atenolol(Ref: CMDT-2014/429)*Beta blockers are no longer considered to be the first line antihypertensive agents. According to JNC-8, ACE inhibitors, calcium channel blockers and diuretics are first line agents.